Number of permanent teeth in a 8 year old child
1. 4
2. 8
3. 12
4. 20

Correct answer: 3. 12